Minimum sperm count for normal semen analysis according to WHO:
1. 2 million/mL
2. 5 million/mL
3. 10 million/mL
4. 15 million/mL

Correct answer: 4. 15 million/mL

Explanation: Parameters (WHO criteria 2010) Parameter Lower Reference Limit Semen volume (ml) 1.5 Sperm concentration (106/ml) 15 Total sperm number (106/ejaculate) 39 Progressive motility (PR,%) 32 Total motility (PR + NP, %) 40 Vitality (live sperms, %) 58 Sperm morphology (NF,%) 4 pH* >/=7.2 Leucocyte* (106/ml) <14 MAR/Immunobead test* (%) <50